Which of the statements is FALSE regarding acute fatty liver of pregnancy?
1. The neonate is at risk of fatty infiltration of liver
2. More commonly occurs in 3rd trimester
3. More commonly seen in women with female foetus
4. May be associated with |uric acid

Correct answer: 3. More commonly seen in women with female foetus

Explanation: Acute fatty liver of pregnancy is usually seen in obese woman. It is more commonly seen in woman carrying a male foetus. Ref: Karla Philip, 3rd Edition, Page 310